The three fourth crown is contraindicated in
1. Anterior teeth with short clinical crown
2. Abraded proximal region
3. Abraded lingual region
4. All of the above

Correct answer: 1. Anterior teeth with short clinical crown